Anti Gliadin antibodies are detectable in
1. Tropical sprue
2. Whipple's disease
3. Celiac disease
4. Intestinal lymphoma

Correct answer: 3. Celiac disease

Explanation: The most sensitive tests are the presence of IgA antibodies to tissue transglutamaminase OT IgA or IgG antibodies to desisted gliadin **anti endomysial antibodies are highly specific but less sensitive than other antibodies